Which of the following is NOT true about the use of b blockers in CHF?
1. These should be started at very low dose and slowly titrated upwards
2. Carvedilol is most widely used b blocker
3. These are drug of choice in acute decompensated heart failure
4. These can reduce mortality in CHF patients

Correct answer: 3. These are drug of choice in acute decompensated heart failure

Explanation: b blockers are not used during an episode of acute heart failure as it deteriorates the condition. Dose of b blockers should be gradually increased in CHF because high dose may cause decompensation which leads to Acute Heart Failure. They are generally used in mild to moderate (NYHA class II, III) cases of dilated cardiomyopathy with systolic dysfunction. Beta blockers are contraindicated in acute decompensated heart failure. MC Beta blocker used in CHF is Carvedilol.